Tubulointerstitial disease are all except
1. Hypokaelemic nephropathy
2. Lupus nehpritis
3. Hypercalcemic nephropathy
4. Analgesic nephropathy

Correct answer: 2. Lupus nehpritis

Explanation: Refer Robbins 9/e pg 929 iety of renal lesions and clinical presentations. The clinical manifestations can include recurrent microscopic or gross hematuria, the nephritic syndrome, rapidly progressive glomerulonephritis, the nephrotic syndrome, acute and